Active and passive immunity should be given together in all except -
1. Tetanus
2. Rabies
3. Measles
4. Hepatitis B

Correct answer: 3. Measles

Explanation: Ans. is 'c' i.e., Measles o in some diseases passive immunization is often undertaken in conjunction with inactivated vaccine products, to provide both : -Immediate (but temporary ) passive immunity.Slowly developing long lasting active immunity.o The disease in which simultaneous active and passive immunization are used : -i) Tetanusiii) Diphtheriaii) Rabiesiv) Hepatitis Bo In measles also, both active and passive immunization are used, but not simultaneously. Because the antibody response to live attenuated measles vaccine is diminished in persons who receive immunoglobulin can currently,o So, the person passively immunized should be given live measles vaccine 8-12 sveeks later.So, both active and passive immunity are used : -i) Simultaneously- Tetanus, rabies, Diphtheria, Hepatitis B.ii) At different time- Measles.